Lingula is a part of:
1. Left upper lobe
2. Left lower lobe
3. Right upper lobe
4. Right middle lobe

Correct answer: 1. Left upper lobe

Explanation: Left upper lobe